The first costochondral joint is a -
1. Fibrous joint
2. Synovial joint
3. Syndesmosis
4. Synchondrosis

Correct answer: 4. Synchondrosis

Explanation: Costochondral junctions are primary cartilaginous joint (synchondrosis).